Trophic ulcers are seen in a/e -a) Poliob) Syringomyeliac) Leprosyd) TB. Meningitis
1. b
2. c
3. ad
4. ab

Correct answer: 3. ad